The presentation of Asherman syndrome typically involves:
1. Hypomenorrhea
2. Oligomenorrhea
3. Menorrhagia
4. Metrorrhagia

Correct answer: 1. Hypomenorrhea

Explanation: A: hypomenorrhea